Which of the following induction agent causes least respiratory depression?.
1. Midazolam
2. Ketamine
3. Propofol
4. Thiopentone

Correct answer: 2. Ketamine

Explanation: Ketamine maintains upper airway reflex and causes less depression of respiratory center compared to other agents